Nerve supply of supinator is similar to which of the following muscle
1. Extensor digitorum
2. Brachialis
3. Brachioradialis
4. Pronator quadratus

Correct answer: 1. Extensor digitorum

Explanation: - Supinator muscle and extensor digitorum both are supplied by posterior interosseus nerve, a branch of radial nerve at the floor of cubital fossa. - Muscle supplied by Radial nerve - In Radial groove - Triceps and Anconeus Out of radial groove - Brachioradialis and extensor carpi radialis longus By deep motor branch a.k.a Posterior interosseus nerve - Supinator Extensor digitorum Extensor carpi ulnaris Extensor carpi radialis brevis Extensor digiti minimi Extensor pollicis longus Extensor pollicis brevis Abductor pollicis longus Extensor indices Pronator quadratus -supplied by anterior interosseous nerve, branch of medial nerve